Hirano bodies are seen in :
1. Parkinsonism
2. Frontotemporal dementia
3. Lewy body
4. Alzheimer's disease

Correct answer: 4. Alzheimer's disease

Explanation: Hirano bodies are eosinophilic inclusions seen in the cytoplasm of Hippocampal neurons in Alzheimer's disease.